All are features of hypernephroma except:
1. May invade renal vein
2. Lower pole involvement
3. More common in males
4. Cannon ball secondaries are seen

Correct answer: 2. Lower pole involvement

Explanation: RENAL CELL CARCINOMA (AKA gravitz tumor, hypernephroma, internist's tumor, radiologist's tumor) - More common in males, in 6th and 7th decade - Tumor usually involve upper pole Most common site of distant metastasis are lungs (cannon ball deposits and pulsatile osteolytic secondaries in bone>liver>brain) Characteristic feature of RCC is tendency to invade renal vein